False about tracheostomy is:
1. Decrease dead space
2. Increase dead space
3. Increased lining secretions
4. Work of breathing reduced

Correct answer: 2. Increase dead space

Explanation: Tracheostomy reduces dead space by around 150 ml. This helps to reduce work of breathing and is helpful in patients with chronic lung diseases and reduced respiratory efforts.